Position of the patient should be as described except:
1. Diagnostic laparoscopy - Trendelenburg with about 30° tilt
2. Colposcopy -Lithotomy
3. Transvaginal sonography in gynecology - Lithotomy with full bladder
4. Hysteroscopy - Lithotomy

Correct answer: 3. Transvaginal sonography in gynecology - Lithotomy with full bladder

Explanation: As the position described in the question are correct with respect to the surgery except for TVS.
In TVS, the position is dorsal with legs drawn up and not lithotomy Full bladder may or may not be required.